The effect of morphine which has least tolerance is?
1. Analgesia
2. Respiratory depression
3. Constipation
4. Bradycardia

Correct answer: 3. Constipation

Explanation: ANSWER: (C) ConstipationREF: KDT 6th edition page 457Tolerance is exhibited to all actions except meiosis and constipation